Which of the following belongs to antifibrinolytic drugs
1. Alteplase
2. Urokinase
3. Aprotinin
4. Reteplase

Correct answer: 3. Aprotinin

Explanation: Antifibrinolytic drugs promote blood clotting by preventing blood clots from breaking down. Some examples of antifibrinolytic drugs are aprotinin, tranexamic acid (TXA), epsilon-aminocaproic acid and aminomethylbenzoic acid. Doctors sometimes give these drugs to patients having surgery to prevent blood loss. Ref: KD Tripathi 8th ed.